Abortion is defined as "expulsion of fetus" less than....................gms :
1. 500
2. 800
3. 900
4. 1000

Correct answer: 1. 500

Explanation: 500